Provision of free medical services to the people at the government expense in known as:
1. Social Medicine
2. Socialised Medicine
3. State Medicine
4. Preventive Medicine

Correct answer: 3. State Medicine

Explanation: State Medicine: Provision of free medical services to the people at the government expense. Note: Socialized Medicine: It is provision of medical services and professional education as in state medicine, but the programme is operated by professional groups rather than by the state. Social Medicine: It consists mainly of knowledge of epidemiology and the study of medical needs and medical care of the society. Ref: Park, 21st Edition, Page 8.